Which line angle area is most acute when a permanent maxillary second molar is viewed occlusally?
1. Mesiofacial
2. Distofacial
3. Mesiolingual
4. Distolingual

Correct answer: 1. Mesiofacial